All the following forces are involved in antigen antibody reaction except:
1. Vander waals forces
2. Electrostatic bond
3. Hydrogen bond
4. Covalent bond

Correct answer: 4. Covalent bond

Explanation: Ans. (d)Combination between antigen and antibody is firm but reversible and is effected by weak intermolecular forces such as Vander waals forces, ionic bonds and hydrogen bonding, not by the firmer Covalent bonds.The firmness of the union is influenced by affinity and avidity.